Onset of post spinal headache is usually at___ hours after spinal anesthesia
1. 0-6
2. 12-Jun
3. Dec-72
4. 72-96

Correct answer: 3. Dec-72

Explanation: Post spinal headache or post dural puncture headache has onset usually on second or third day post procedure. It is an occipital type of headache, aggravated on sitting and relieved in recumbent position